All of the following may cause ST segment elevation on EKG,except-
1. Early repolarization variant
2. Constrictive pericarditis
3. Ventricular aneurysm
4. Prizmetal angina

Correct answer: 2. Constrictive pericarditis

Explanation: Constrictive pericarditis is long-term, or chronic, inflammation of the pericardium. The pericardium is the sac-like membrane that surrounds the heart. Inflammation in this part of the heart causes scarring, thickening, and muscle tightening, or contracture a Prinzmetal's angina characterized by a transient reduction in luminal diameter of a coronary artery resulting in spontaneous and often recurrent episodes of angina with electrocardiography (ECG) findings consistent with ST elevation left ventricular aneurysm can be diagnosed on ECG when there is persistent ST segment elevation occurring 6 weeks after a known transmural myocardial infarction (usually an anterior MI). Without knowing the past medical history, the ECG changes of an aneurysm may mimic an acute anterior MI Early repolarization are characterized by the following ECG changes: ST segment elevations with concave ST segment. The hallmark of early repolarization is the end-QRS notch (a notch in the J point) or the end-QRS slur (the final slurring part of the R-wave) Ref Harrison 20th edition pg 1536